False about the management of salivary gland tumour
1. Investigation of choice is FNAC
2. Chemotherapy is given after surgery
3. Open incisional Biopsy is contra indication
4. Neck dissection is must for high grade malignancies

Correct answer: 2. Chemotherapy is given after surgery

Explanation: Chemotherapy has No Role in Management of salivary gland tumours.